In a patient of carcinoma tongue, the infiltration of which muscle causes ankyloglossia
1. Styloglossus muscle
2. Genioglossus muscle
3. Mylohyoid muscle
4. Palatoglossus muscle

Correct answer: 2. Genioglossus muscle

Explanation: Ankyloglossia is due to involvement of muscles of tongue SRB,5th,391.